A 6 year old patient, who was admitted for a dog bite on the face, unexpectedly developed anaphylaxis to a test dose of Augmentin. He developed stridor which needs immediate intubation. You are the only available doctor at the time. You have a No.3 curved blade laryngoscope ready and you have asked for an Endotracheal Tube (ET) to the nurse. What should be the appropriate internal diameter of the tube?
1. 3.5mm
2. 4.5mm
3. 5.5mm
4. 6.5mm

Correct answer: 3. 5.5mm

Explanation: Internal diameter of an ET tube in children = (age in years/4) + 4.0 mm = (6/4) +4.0 mm = 5.5 mm 3-3.5 is the internal diameter for a neonate For an adult male - 8.5 mm For an adult female - 7.5 mm Ref: Oxford Handbook of Clinical Specialities, Page 627